In pin retained amalgam restoration, failure is more likely to occur at the
1. Pin restoration interface
2. Pin dentin interface
3. Both of the above
4. Inside of restoration (Restoration fracture)

Correct answer: 2. Pin dentin interface